Bandl's ring is associated with :
1. Cephalopelvic disproportion
2. Fetal death
3. Uterine inertia
4. Placenta previa

Correct answer: 1. Cephalopelvic disproportion

Explanation: Cephalopelvic disproportion